All are included under basal ganglia except
1. Globus pallidus
2. Putamen
3. Dentate nucleus
4. Subthalamic nuclei

Correct answer: 3. Dentate nucleus

Explanation: Ans : c) dentate nucleus The basal nuclei are large masses of grey matter in the cerebral hemispheres. All are Telencephalic in origin.They classically include1) Caudate nucleus2) Lentiform nucleus (Globus pallidus + Putamen)3) Amygdaloid nuclear complex4) ClaustrumAreas functionally related to basal ganglia1) The subthalamic nucleus (Diancephalic in origin)2) The substantia nigra ( Mid brain)3) Ventral stratum and ventral pallidumPutamen + Globus pallidus = Lentiform nucleusCaudatenucleus + Putamen = StriatumCaudate + Lentiform nucleus = Corpus striatum